Potential complications stemming from dentigerous cyst are
1. Ameloblastoma
2. Epidermoid carcinoma
3. Mucoepidermoid carcinoma
4. All of the above

Correct answer: 4. All of the above